Ligature material in case of hanging is kept preserved as ?
1. Ligature knot is opened completely
2. Ligature is cut at the knot?
3. Ligature is cut away from the knot
4. Ligature knot is loosened

Correct answer: 3. Ligature is cut away from the knot

Explanation: Ans. is 'c' i.e., Ligature is cut away from the knot For removal and preservation of the ligature from the dead body in case of hanging it is cut away from the knot and the cut ends are tied with string or wire.